A young male was found to be HBsAg positivity and HBe Ag negative. His liver enzymes were normal. The next step in management of this young male should be:
1. Lamivudine therapy
2. Lamivudine plus IFN therapy
3. Start IFN therapy
4. Serial monitoring

Correct answer: 4. Serial monitoring

Explanation: Answer is D (Serial Monitoring) Antiviral therapy (IFN, Lamuvidene, Adefovir, Entecovir) for chronic hepatitis B is indicated.* patients with active HBV replication. Negative HBe Ag and Normal levels of liver enzymes suggest that the patient is either in a non replicative phase of chronic hepatitis, or, is an inactive carrier of chronic Hepatitis. Such patients are best managed by sequential monitoring (biochemical and virological) over many months and are not considered candidates for antiviral therapy The patient in question is negative for HbeAg and has normal ALT levels. He is thus not a candidate for antiretroviral therapy. Such patients are best managed by sequential monitoring (biochemical and virological) over many months.